Bacitracin sensitivity is used to differentiate -
1. Group A streptococcus from staphylococcus
2. Group A streptococcus from other Beta hymolytic streptococci
3. Group A streptococcus from Gamma hemolytic streptococci.
4. Group A streptococcus from Alpha hemolytic streptocci

Correct answer: 2. Group A streptococcus from other Beta hymolytic streptococci

Explanation: Ans. is 'b' i.e., Group A streptococcus from other Beta hymolytic streptococci o Lets discuss each option one by oneStaphylococci and streptococci are differentiated by catalase test.Bacitracin sensitivity is used to differentiate streptococcus pyogenes (group A streptococcus) from other beta hemolytic streptococci.Alpha hemolytic and Gamma hemolytic streptococci are differentiated from Beta hemolytic streptocci, on the basis ofhemolysis.Following flow chart will help in the diagnosis of gram (+)ve cocci.